The amino acid which serves as a carrier of ammonia from skeletal muscle to liver is:
1. Alanine
2. Methionine
3. Arginine
4. Glutamine

Correct answer: 1. Alanine

Explanation: Ans. A. AlanineTransport form of Ammonia from most tissues including brain is GlutamineTransport form of Ammonia from skeletal muscle is Alanine.